Which of the following is not true regarding myocardial ischemia –
1. Late enhancement on Gd MRI suggestive of scar
2. Akinetic area does not benfit by revascularization
3. Low dose dobutamine may be used in hibernating myocardium
4. Rest reinfection thallium is used in hibernating mycardiurn

Correct answer: 2. Akinetic area does not benfit by revascularization

Explanation: Hibernating myocardium (akinetic area) regains its contractile function after successful revascularization, i.e. restoration of blood flow to hibernating myocardium is associated with restoration of contractile function.
As, there is residual contractile reserve to inotropic stimulation, low does dobutamine-stress echocardiography can be used to see contractile response in hibernating myocardium
Thallium scan is commonly used to detect ischemic but viable myocardium (hibernation myocardium). Some time severely ischemic but viable myocardium may produce scan similar to irreversible damage. This can be eliminated by reinjection or 24-hour thallium protocol.
On delayed enhancement MR images, scanning or fibrosis appears as an area of high signal intensity that is typically subendocardial or transmural in a coronary artery distribution